Disadvantage of ketamine is?
1. Increased heart rate
2. Increased ICT
3. Delirium
4. All of the above

Correct answer: 4. All of the above

Explanation: Ans. is 'd' i.e., All of the above When administered to adult patients as a sole anaesthetic agent, ketamine frequently cause emergence reaction characterized by anxiety, hallucination, delirium. Moreover, ketamine shows cardiovascular stimulant property (increases heart rate and BP), increases salivary and bronchial secretions, and may increase intracranial, intraocular and pulmonary pressure. All of these features have been advocated as limitations for its usefulness.